Most common ocular complication of Diphtheria is
1. Paralysis of accommodation
2. External ophthalmoplegia
3. Sluggish pupillary reflex
4. Optic neuritis

Correct answer: 1. Paralysis of accommodation

Explanation: A i.e. Paralysis of accommodation In diptheria ciliary muscle never escape, hence there is almost always paralysis of accommodation Q. Pupils often escapes hence pupillary reflex is normal. Isolated ocular palsies are common External opthalmoplegia is rare.